Floor of mouth is made by which muscle?
1. Genioglossus
2. Geniohyoid
3. Mylohyoid
4. Masseter

Correct answer: 3. Mylohyoid